Adult polycystic kidney is inherited as
1. X linked dominant
2. Autosomal dominant
3. Autosomal recessive
4. X-linked recessive

Correct answer: 2. Autosomal dominant